What is seen in luteal phase -
1. Increased progesterone levels
2. Decreased progesterone levels
3. Decreased estrogen level
4. None of the above

Correct answer: 1. Increased progesterone levels

Explanation: Ans. is 'a' i.e., Increased progesterone levels "Corpus luteum secretes progesterone, the level of which starts rising"